What is the best method of informing the rural population about Oral rehydration technique:
1. Chalk and talk/Lecture
2. Demonstrations
3. Role play
4. Flash cards

Correct answer: 2. Demonstrations

Explanation: Ans. B i.e. Demonstrations Demonstration involves showing by reason or proof explaining or making clear by use of examples or experiments. Put more simply, demonstration means to clearly show